Multiple myeloma on radionuclide scanning presents as
1. Cold nodule
2. Hot nodule
3. Diffuse increased uptake
4. Diffuse decreased uptake

Correct answer: 1. Cold nodule

Explanation: Hot spots' or | distribution is seen inBone tumor or cancerBone metastasis from breast, lung, prostate, thyroid & kidney.Fracture, when it cannot be seen on a regular X-ray Bone injections (osteomyelitis)Cause of bone pain.Metabolic disorders such as osteomalacia, renal osteodystrophy, primary hyperparathyroidism, osteoporosis, complex regional pain syndrome &Paget's disease.(Refer: Sutton's Textbook of Radiology & Imaging, 7th edition, pg no:1251-1255)